Gold standard investigation for Triple assessment screening breast carcinoma in patient with Silicone breast implant
1. MRI
2. USG
3. Mammography
4. CT scan

Correct answer: 1. MRI

Explanation: Ans. (a) MRI(Ref. Bailey and Love 26th edition Page 800)Indications for MRI in Breast:* Distinguish scar and recurrence* For diagnosing multicentricity in LCIS and Extent in DCIS* Breast implants* Best screening tool for high risk women